Which drug is used in treatment of vertigo
1. Cinnarizine
2. Metoclopramide
3. Cisapride
4. None

Correct answer: 1. Cinnarizine

Explanation: Ans. is 'a' i.e., Cinnarizine Vertigo is due to labyrinthine disorder and the impulse utilizes cholinergic muscarinic and H1 histamic receptors (similar to motion sickness). So, the drugs used are antimuscarinic, phenothiazines (phenothiazines have anticholinergic property) and antihistaminics. Cinnarizine (act by inhibiting influx of Ca" into endolymph) and betahistine. (a histamine) analogue improve blood circulation to the inner ear can be used in Meniere's disease.